TRUE statement regarding ileum is:
1. Tongue shaped villi in the lumen
2. Lymphatic patch along antimesenteric border
3. Supplied by inferior mesenteric vessels
4. Joins caecum at anterior surface.

Correct answer: 2. Lymphatic patch along antimesenteric border

Explanation: B. i.e. Lymphatic patch along antimesenteric border